Investigation of choice in VUR
1. Ultrasound
2. MRI
3. Voiding cystourethrogram
4. Cystoscopy

Correct answer: 3. Voiding cystourethrogram

Explanation: c. Voiding cystourethrogram(Ref: Nelson's 20/e p 2562-2567, Ghai 8/e p 485-486)The most useful process for conclusive diagnosis of VUR is micturating cystourethrogram (MCU)MCU demonstrates the grade of reflux as well as urethral anatomy.Radionuclide imaging is sensitive at detecting reflux but does not demonstrate anatomic details